True about duplication of intestine is -a) Spherical type is MCb) Tubular type is attached longitudinally with bowelc) Spherical cyst communicates with lumend) All of the above
1. ab
2. a
3. ad
4. bc

Correct answer: 1. ab